Treatment of Pediatric cataract are all EXCEPT
1. Phaco-aspiration
2. Comeo-scleral tunnel technique
3. Intra ocular lens implantation
4. Intra capsular cataract extraction

Correct answer: 4. Intra capsular cataract extraction

Explanation: (Intracapsular cataract extraction) (174, 193- Khurana 4th)Intracapsular cataract extraction is obsolute and sparingly performed world wideSurgical Techniques of Extracapsular cataract extraction for childhood cataract1. Irrigation and aspiration of lens matter - done by(i) Conventional ECCE technique or(ii) Comeo-scleral tunnel technique which inclue* Manual SICS (small incision cataract surgery)* Phaco-aspiration technique* Implantation of IOL - is done in the capsular bag after inflating it with viscoelastic substance. Heparin or fluorine coated PMMA IOLS are preferred in children. Some surgeons prefer to capture the lens optic through posterior capsulorhexis2. Lensectoy - less than 2years of age pars plana or limbal approachPHACOEMULSIFICATION* Most popular method of extracapsular cataract extraction * *Important steps are1. Corneoscleral incision is very small 3mm, sutureless2. Continuous curvilinear capsulorrhexis (CCC) of 4-6 mm3. Hydrodissection i.e. separation of capsule from the cortex by injecting fluid exactly between two Hydrodelineation wave propagates along a more internal plane that cleaves the epinucleus apart from endonucleus4. Nucleus is emulsified and aspirated by emulsifier5. Remaining cortical lens matter is aspirated with the help of an irrigation aspiration technique6. IOL implantation, removal of viscoelastic substance and wound closureFoldable IOL is most ideal with phacoemulsificationPHAKONIT - refers to the technique of PHAKO performed with a needle (N) opening via an incision (I) using the tip (T) of phacoprobe* In this technique the size of incision is only 0.9mm and after completion of the operation an ultrathin rollable IOL is inserted into the capsular bag* This technique offers almost nil astigmatism cataract surgery *** Juvenile Rheumatoid arthritis (JRA) associated Uveitis is contraindicated to put IOL after cataract surgery* A two week old child presents with unilateral cataract - Best management advise - The best age to operate him to get the best visual results in 4 weeks**** The major function of major intrinsic protein (MIP-26) is transport of water in lens*** Intractable secondary glaucoma is seen in - Diffuse iris melanoma**